HEV and HDV false is -
1. Both can infect simultaneously
2. HDV causes more serious infecton d/t superinfection
3. HDV cannot infect in absence of HBV
4. DNA viruses

Correct answer: 4. DNA viruses